Commonest site for colonic diverticula is-
1. Ascending colon
2. Sigmoid colon
3. Transverse colon
4. Descending colon

Correct answer: 2. Sigmoid colon

Explanation: Ans. is 'b' i.e., Sigmoid colon